Phobia is -a) Psychosisb) Anxietyc) Fear of animald) Neurosis
1. c
2. bd
3. ab
4. ac

Correct answer: 2. bd

Explanation: Phobias (Agoraphobia, specific phobia, social-phobia) are anxiety disorders.
Anxiety disorders are neurosis.